In osteoarthtitis, Bouchard nodes and Heberden's nodes seen respectively,
1. DIP and PIP
2. PIP and DIP
3. Palm and DIP
4. DIP and MCP

Correct answer: 2. PIP and DIP